Natural history of disease is best studied by -
1. Cross-sectional study
2. Cohort study
3. Case contral study
4. Any of the above

Correct answer: 2. Cohort study

Explanation: Ans. is 'b' i.e., Cohort study o Natural history of disease is studied by longitudinal studies :o Among longitudinal studies cohort study is more useful for natural history of disease than case-control disease.